Cesarean section is mandatory in following presentation
1. Cephalic
2. Vertex
3. Face
4. Brow

Correct answer: 4. Brow

Explanation: In brow presentation, the engaging diameter is Mentovertical diameter which is 14 cms that cannot pass through cervix Hence,cesarean section is mandatory. Ref: Datta Obs 9e pg 368.